All are included in Kangaroo Mother Care except
1. Skin to skin contact
2. Free nutritional supplements
3. Early discharge and follow up
4. Exclusive Breast feeding

Correct answer: 2. Free nutritional supplements

Explanation: KANGAROO MOTHER CARE for prevention of neonatal hypothermia in low birth weight/premature newborns:

Skin-to-skin positioning of newborn on mother’s chest.
Adequate nutrition through breast feeding.
Early discharge and ambulatory care.
Support for mother and family for child care.